A 25-year old male had pigmented macules over the palm, sole and oral mucosa. He also had anemia and pain in abdomen. The most probable diagnosis is -
1. Albright's syndrome
2. Cushing's syndrome
3. Peutz-Jegher's syndrome
4. Incontinentia pigmenti

Correct answer: 3. Peutz-Jegher's syndrome